CBD microliths are diagnosed by
1. ERCP
2. EUS
3. HIDA
4. CT

Correct answer: 2. EUS

Explanation: CBD stones IOC is MRCP
Micro stones are detected by EUS.